Hallmark feature of osteomyelitis is:
1. Identification of sequestrum
2. Pain
3. Swelling
4. None of the above

Correct answer: 1. Identification of sequestrum

Explanation: The hallmark of osteomyelitis is the development of sequestra. A sequestrum is a segment of bone that has become necrotic because of ischemic injury caused by the inflammatory process.
Reference: White and Pharoah's Oral Radiology Principles and Interpretation 7th edition page no 320